Choroidal vascularization is seen in-
1. Myopia
2. Hypermetropia
3. Presbyopia
4. Astigmatism

Correct answer: 1. Myopia

Explanation: Cause of choroidal neovascularization *Age-related macular degeneration (ARMD)- most significant *Angioid streaks *Choroidal rupture (trauma) *Pathological myopia *Chorioretinal scars *Intraocular inflammation *Chorioretinal dystrophy Ref: Yanoff & Ducker 2nd/e p.919-920